22-year-old lady, with a history of epilepsy is undergoing the pre-anaesthetic review. The use of which inhalational agent is contraindicated in this patient?
1. Halothane
2. Enflurane
3. Sevoflurane
4. Isoflurane

Correct answer: 2. Enflurane

Explanation: Enflurane can precipitate generalized tonic clonic seizure in epileptics. It is however safer than halothane, causes less myocardiac depression and less hypotension.